All enamel walls of a cavity preparation must consist of full length enamel rods on
1. Affected enamel
2. Affected dentin
3. Sound enamel
4. Sound dentin

Correct answer: 4. Sound dentin